Structure present in anatomical snuff box:
1. Ulnar artery
2. Radial Artery
3. Median nerve
4. Radial nerve

Correct answer: 2. Radial Artery

Explanation: • Anatomical snuff box is a depression which appears on the lateral aspect of wrist and becomes prominent when thumb is extended.
• BOUNDARIES-
■ Anteriolateral Radial- abductor pollicis longus and extensor pollicis brevis
■ Postero-medial ulnar - extensor pollicis longus
■ Floor- scaphoid and trapezium
■ Roof- subcutaneous tissue and skin.